Which of the following is most radiosensitive structure in retina?
1. Bipolar cell layer
2. Pigment Epithelium
3. Layers of rods & cones
4. Ganglion cell layer

Correct answer: 3. Layers of rods & cones

Explanation: Most radiosensitive layer of retina: Layer of rods and cones Most radioresistant layer of retina : Ganglion cell layer Most radioresistant structure of eye : Sclera Most radiosensitive structure of the eye : Lens Layers of rods & cones The elements composing the Layer of Rods and Cones (Jacob's membrane) in the retina of the eye are of two kinds, rod cells and cone cells, rod cells are more than cone cells except in the macula lutea